Carcinoma tongue most frequently develops from:
1. Tip
2. Lateral border
3. Dorsal portion
4. All portions equally

Correct answer: 2. Lateral border

Explanation: Most common site of carcinoma tongue is middle of lateral border or the ventral aspect of the tongue followed by tip and dorsum.